All the following are features of premature ventricular complexes except
1. Wide QRS complex
2. Absent P wave
3. Complete compensatory pause
4. Prolonged PR interval

Correct answer: 4. Prolonged PR interval

Explanation: PR interval does not characterize ventricular premature complexes because AV conduction is not involved Ref Harrison 20th edition pg 1499